Miners nystagmus is of which type:
1. Lateral
2. Vertical
3. Rotatory
4. Can be of any type

Correct answer: 3. Rotatory

Explanation: Ans. Rotatory